All are involved in MEN IIA except:
1. Pituitary
2. Parathyroid
3. Thyroid
4. Adrenal

Correct answer: 1. Pituitary

Explanation: a. Pituitary(Ref: Nelson's 20/e p 2694-2481, Ghai 8/e p 523)In Multiple Endocrine Neoplasia (MEN) IIA, features seen are: "HAPPY", i.e. Hirschsprung disease, Amyloidosis, Pheochromocytoma, Parathyroid hyperplasia/Adenoma and thyroid Carcinoma (Medullary).